Mode of transmission that is most difficult to control:
1. Water
2. Air
3. Sexual
4. All of the above

Correct answer: 2. Air